The earliest change seen in apoptosis is -
1. Cell shrinkage
2. Pyknosis
3. Formation of apoptotic bodies
4. Fragmentation of cells

Correct answer: 1. Cell shrinkage

Explanation: Ans. is 'a' i.e., Cell shrinkage Morphological changes in apoptosiso Features of apoptosis areCell shrinkage : It is the earliest changes. It is due to damage to cytoskeleta! proteins.Chromatin condensation (pyknosis)/nuclear compaction : It is the most characteristic feature.Formation of cytoplasmic blebs : It is the end stage of apoptosis.Cytoplasmic eosinophilia.Chromosomal DNA fragmentation ; It is due to activity of endonuclease and caspases.Formation of apoptotic bodies : These are membrane bound round masses of eosinophilic cytoplasm with tightly packed orgaelles which may contain nuclear debries. Important examples of apoptotic bodies are civatte bodies, kamino bodies, councilman bodies, Tingible bodies, sunburn cells, satellite dyskeratotic cells, and eosinophilic globules,Phagocytosis of apoptotic cells and bodies by adjacent macrophages or healthy parenchymal cells.Considerable apoptosis may occur before it becomes apparent on histological section.o Two very important differentiating features from necrosis areAbsence of inflammation.Intact cell membrane.